Commonest cause for hyperparathyroidism is ?
1. Single adenoma
2. Multiple adenomas
3. Single gland hyperplasia
4. Multiple gland Hyperplasia

Correct answer: 1. Single adenoma

Explanation: Ans. is 'a' i.e., Single adenoma